Which finding would be present following selective destruction of Sertoli cells?
1. Increased plasma testosterone levels
2. Increased plasma inhibin levels
3. Increased plasma luteinizing hormone (LH) levels
4. Increased plasma follicle-stimulating hormone (FSH) levels

Correct answer: 4. Increased plasma follicle-stimulating hormone (FSH) levels

Explanation: Sertoli cells are stimulated by follicle-stimulating hormone (FSH) to secrete the hormone inhibin. Inhibin is a polypeptide hormone with a structure that is similar to that of insulin (i.e., an A chain and a B chain connected by two disulfide bonds). Its physiologic function is to selectively suppress pituitaty release of FSH. Therefore, if Sertoli cells are destroyed, plasma levels of inhibin would decrease and plasma levels of FSH would increase as a result of loss of feedback inhibition. Luteinizing hormone (LH) is suppressed by testosterone of Leydig cell origin. Selective destruction of Sertoli cells with Leydig cells left intact would have no effect on circulating levels of testosterone or LH. Finally, Sertoli cells are vital for normal spermatogenesis. The spermatozoa mature within the folds of the Sertoli cells, which provide maturational factors that are required for spermatogenesis.